Aromatic enzyme complex is involved in the biosynthesis of
1. Cholesterol
2. Adrenal homones
3. Vitamins D3
4. Estradiol/estrogens

Correct answer: 4. Estradiol/estrogens

Explanation: Ovarian Hormones They are C18 estrogens, C19 androgens, and C21 progesterone. These are produced by the ovarian follicles. The follicular thecal cells produce C19 androgens. These are converted to C18 estrogens by granulosa cells, by aromatization of ring A and loss of C19 methyl group. Estradiol is the most important estrogen. It is converted to estrone by liver. It is further hydroxylated to estriol, which is inactive. Estradiol is bound to plasma SHBG (sex hormone binding globulin). Estradiol(E2) is the predominant sex hormone present in females; however, it is present in males, at lower levels, as well. Estradiol has not only a critical impact on reproductive and sexual functioning but also affects other organs including the bones. Estradiol enters cells freely and interacts with a cytoplasmic target cell receptor. After the estrogen receptor has bound its ligand, estradiol can enter the nucleus of the target cell, and regulate gene transcription, which leads to formation of messenger RNA. The mRNA interacts with ribosomes to produce specific proteins that express the effect of estradiol upon the target cell. Estradiol binds well to both estrogen receptors, ER-alpha, and ER-beta. Selective estrogen receptor modulators (SERMs) preferentially act on one of these receptors.Ref: DM Vasudevan - Textbook of Biochemistry, 8th edition, page no: 536-537